All of the following are true for anorexia nervosa except:
1. Menorrhagia
2. Decreased FSH levels
3. Bulimia
4. Hypothermia

Correct answer: 1. Menorrhagia

Explanation: Ans: A i.e. Menorrhagia Anorexia nervosa Signs and symptoms of anorexia include amenorrhoea, bradycardia, hypothermia, constipation etc. Laboratory markers of anorexia includes decreased FSH, LH and T, and increased Cortisol Bulimia (binging and purging with vomiting, laxatives, or diuretics) may be seen in 50% of patients